Which of the following is the Protruder of Jaw?
1. Lateral Pterygoid
2. Medial pterygoid
3. Masseter
4. Temporalis

Correct answer: 1. Lateral Pterygoid

Explanation: (A) Lateral Pterygoid # Lateral Pterygoid Actions:> Depresses the mandible to open the mouth, (with suprahyoid muscles).> Lateral and medial pterygoid muscles of both sides action together protrude the mandible.> Medial & lateral pterygoid muscles of the two sides contract alternately to produce side to side movements of the mandible (as in chewing).